Which one of the following electrocardiographic changes is found in hypercalcaemia -
1. PropongedQ-T interval
2. Short Q-T interval
3. Increased QRS interval
4. Short P-R interval

Correct answer: 2. Short Q-T interval

Explanation: ECG Changes in Hypercalcaemia The main ECG abnormality seen with hypercalcaemia is shortening of QT interval In severe hypercalcaemia, Osborn waves (J waves) may be seen Ventricular irritability and VF arrest has been reported with extreme hypercalcaemia Bizarre-looking QRS complexes Very short QT interval J waves = notching of the terminal QRS, best seen in lead V1 Ref Harrison 20th edition pg 1435